Ameboid ulcer is a feature of -
1. Parasitic corneal ulcer
2. Mycotic corneal ulcer
3. Herpetic corneal ulcer
4. Bacterial corneal ulcer

Correct answer: 3. Herpetic corneal ulcer

Explanation: It is seen primary ocular herpes.Sometimes the margins of the dendritic ulcer enlarge and coalesce to form a large epithelial ulcer with a 'geographical' or 'ameboid' configuration. Reference:Comprehensive ophthalmology,AK Khurana,6th edition,page no.108